A patient is having bronchodilation, increased temperature, constipation and tachycardia. The tentative diagnosis is
1. Oraganophosphate poisoning
2. Paracetamol poisoning
3. Mushroom poisoning
4. Atropine poisoning

Correct answer: 4. Atropine poisoning